Gastric motility decreases in all EXCEPT
1. Diabetes
2. Upper abdominal surgery
3. Head injury
4. Hyper thyroid

Correct answer: 4. Hyper thyroid